Delta waves on EEG is seen in:
1. Awake state with eyes open
2. Fully relaxed deep sleep
3. Awake state with eyes closed
4. Transition from awakefulness to sleep

Correct answer: 2. Fully relaxed deep sleep

Explanation: Ans. B i.e. Fully relaxed deep sleep